Muscles paralysed in Erb's paralys are all except?
1. Biceps
2. Triceps
3. Brachioradialis
4. Brachiali

Correct answer: 2. Triceps

Explanation: Ans. is 'b' i.e., Triceps Erb's paralysis One region of upper trunk (C5, C6) of the brachial plexus is called Erb's point where six nerves meet. o Injury at this point results in Erb's paralysis The injury is due to undue separation of the head from the shoulder, which may be seen in : ? Birth injury Fall on the shoulder During Anesthesia Clinical features of Erb's palsy Muscles paralysed : Mainly biceps brachii, deltoid, branchialis and brachioradialis. Partly supraspinatus, infraspinatus and supinator. Deformity (position of the limb) Arm : Hanges by the side; it is adducted and medially rotated Forearm : Extended and pronated The deformity is known as 'policeman's tip hand' or 'porter's tip hand'. Disability : The following movements are lost. Abduction and lateral rotation of the arm (shoulder). Flexion and supination of the forearm. Biceps and supinator jerks are lost. Sensations are lost over a small area over the lower part of the deltoid